G protein coupled receptor ?
1. NMDA receptor
2. Steroid
3. M2
4. Insulin receptors

Correct answer: 3. M2

Explanation: Ans. is 'c' i.e., M2M2 muscarinic receptors are G-protein coupled receptors and act through cAMP.